Which of the following factors is responsible for deciding whether an antibody or immunoglobulin will remain membrane bound or get secreted?
1. RNA Splicing
2. Class Switching
3. Differential RNA Processing
4. Allelic Exclusion

Correct answer: 3. Differential RNA Processing

Explanation: Differential RNA processing decides whether an immunoglobulin will remain membrane bound or secreted. Ref: Textbook of biochemistry by DM Vasudevan3rd edn/page 354.